Psychosis resulting due to chronic amphetamine intake most commonly resembles:
1. Delirium
2. Mania
3. Paranoid schizophrenia
4. Dissociative disorder

Correct answer: 3. Paranoid schizophrenia

Explanation: Amphetamine inhibits neuronal reuptake of dopamine The prolonged use of large quantities of amphetamines may result in disturbances of perception and thinking. Paranoid psychosis may occur closely resembling the paranoid form of schizophrenia, with persecutory delusions, auditory and visual hallucinations, and sometimes aggressive behavior. Usually, the condition subsides within a week or two of stopping the drug, but occasionally persists for months. In some of these prolonged cases the diagnosis proves to be schizophrenia, not drug-induced psychosis.